In which of the following differential cyanosis found?
1. VSD with reversal of shunt
2. PDA with reversal of shunt
3. ASD with reversal of shunt
4. Tetralogy of Fallot

Correct answer: 2. PDA with reversal of shunt

Explanation: Ans. is 'b' i.e., PDA with reversal of shunt